The SI unit of absorbed dose of radiation is:`
1. Gray
2. Rad
3. Sv
4. Kerma

Correct answer: 1. Gray